Apgar score < 3 at 5 minutes of life is a predictor of:
1. Poor neurological outcome
2. Increased risk of neonatal mortality
3. Risk of cerebral palsy
4. Neonatal depression

Correct answer: 2. Increased risk of neonatal mortality

Explanation: b. Increased risk of neonatal mortality(Ref: Nelson's 20/e p 798)Apgar score is normal in most patients in whom cerebral palsy subsequently develops.Low Apgar scores (0-3 at 5 min) is a predictor of neonatal death, in both term and preterm neonates